Most common cause of Krukenberg's tumor is?
1. Ovary
2. Liver
3. Stomach
4. Kidney

Correct answer: 3. Stomach

Explanation: ANSWER: (C) StomachREF: Bailey 25th ed page 1070, Harrison 18th ed chapter 42See Surgery 2013 Session 2 for signs of Gastric carcinomaSee APPENDIX- 59 below for "MAJOR HISTOPATHOLOGIC CATEGORIES OF OVARIAN CANCER"Note:Krukenbergs tumor is the metastatic tumor of ovaryMost common primary (cause) of Krukenberg's tumor is Gastric carcinoma APPENDIX - 59Major Histopathologic Categories of Ovarian CancerGroupType%LateralityAlso knowEpithelialNeoplasms(60% of all ovarian neoplasms)serouscystadenocarcinoma75-80%- of all epithelial cancersBilateral in 40-60% of casesmost common malignant tumor of the ovary Psammoma bodies,Mucinous neoplasms10% of all epithelial ovarian tumorsBilateral in less than 10% of cases.Pseudomyxoma peritonei,Endometrioidneoplasms10% of epithelial tumorsBilateral in 30-50% of casesresembles endometrial adenocarcinomaClear cell carcinoma (meso nephroid carcinoma)less than 1% of epithelial ovarian cancers Two cell types; "clear cell" & "hobnail cell"Transitional cell (Brenner) carcinoma< 1% of epithelial cancers resemble low-grade transitional cell carcinoma of the urinary bladderUndifferentiatedcarcinoma< 10% of epithelial neoplasms. absence of any distinguishing microscopic featuresGerm Cell NeoplasmsDysgermlnoma30-40% of germ cell tumorsunilateral in 85-90% of casesfemale counterpart of the seminomaEndodermal sinus tumor (yolk sac tumor)3rd most common germ cell neoplasmBilateral in nearly 100% of casesSchiller-Duval bodyAFP +Immature teratoma2nd most common germ cell malignancyBilateral in less than 5% of casesAFP +Mature teratoma or dermoid most common neoplasm diagnosed during pregnancyEmbryonal carcinomavery rare HCG+AFP+Choriocarcinomarare AFP - HCG+Gonadoblastomarare Rt ovary > left ovary, Associated with presence of Y chromosomeMixed germ cell tumors10% of germ cell j neoplasms Dysgerminoma + endodermal sinus tumor (most common)Polyembryomaextremely rare Embryoid bodiesAFP and HCG +Sex cord- stromal tumors (5-8% of all ovarian tumors)All are estrogen producing (hirsutism)Granulosa cell tumors70% of sex cord stromal tumors CaJl-Exner bodiesThecoma ExclusivelyunilateralExclusively benignSertoli-Leydig cell tumorsRareRarely bilateral GynandroblastomaRare Both ovarian (granulosa/ theca) & testicular (Sertoli/ Leydig) cellsMetastatic(5-6% of all ovarian malignancies)Krukenberg Tumor eponyrn is used to denote any GI carcinoma metastatic to the ovary, mostly stomach carcinoma.The primary ovarian tumor stain positive for cytokeratin 7 (CK7+) & negative for CK20. While metastatic lesion is CK7 negative, CK20 positive).